Unna boot is used for treatment of
1. Diabetic foot ulcer
2. Varicose ulcers
3. Ankle instability
4. Calcaneum fracture

Correct answer: 2. Varicose ulcers

Explanation: Answer- B. Varicose ulcersIt is named for the dermatologist Paul Gerson Unna.This boot can be used to treat uninfected nonnecrotic leg and foot ulcers that result from such conditions as venous insuftciency (varicose ulcers) and stasis dermatitis.